In a pregnant woman, all can be given for SLE, EXCEPT:
1. Methotrexate
2. Sulfasalazine
3. Hydroxychloroquine
4. Prednisone

Correct answer: 1. Methotrexate

Explanation: Methotrexate Category X drug (FDA), highly Teratogenic. Should avoid during pregnancy, if there is a risk of becoming pregnant, or if they are breastfeeding. Can be toxic to the embryo and can cause fetal defects and spontaneous abortion. Females should discontinue use for at least 1 ovulatory cycle before conception and the male patients should stop taking methotrexate at least 3 months prior to a planned conception.